The orbital opening is somewhat
1. Quadrangular
2. Oval
3. Oblong
4. Circular

Correct answer: 1. Quadrangular

Explanation: The orbit appears as quadrangular pyramid in shape, i.e. Resembles a four-sided pyramid, which has an apex, base, four walls - roof, floor, medial and lateral walls.